Following are true with respect to genus Neisseria Except
1. Gram negative
2. Anaerobic
3. Non-sporulating
4. Oxidase positive cocci

Correct answer: 2. Anaerobic

Explanation: Neisseria genus is gram-negative cocci, It is oxidase positive, non-sporulating, aerobic and non-motile cocci typically arranged in pairs. Reference: Textbook of Microbiology; Anathanarayan and panicker's; 10th edition; Page no: 230